Most common coagulopathy noted in surgical patients is -
1. Thrombocytopenia
2. Afibrinogenemia
3. Fibrinolysis
4. Factor VIII defeciency

Correct answer: 1. Thrombocytopenia

Explanation: Ans. is 'a' i.e., Thrombocytopenia